Infection of following organism has clinical features resembling erythroblastosis foetalis
1. Toxoplasmosis
2. Ebstein Barr virus
3. Cytomegalovirus
4. Herpes virus

Correct answer: 3. Cytomegalovirus

Explanation: * Clinical features of congenital CMV infection is similar to those of Erythroblastosis fetalis Symptoms are: - * IUGR * Hepatosplenomegaly * Jaundice * Thrombocytopenia * Microcephaly Ref:- Greenwood medical microbiology 18th ed; pg num:- 439